True statement regarding Bupivacaine is:
1. Used intravenously along with lignocaine
2. More cardiotoxic than lignocaine
3. Contraindicated in pregnancy
4. All of the above

Correct answer: 2. More cardiotoxic than lignocaine

Explanation: Bupivacaine is more cardio toxic than Lignocaine as it more prone to prolong QTc interval and induce ventricular tachycardia or cardiac depression- should not be used for intravenous regional anesthesia. It has high lipid solubility: distributes more in tissues than in blood after spinal or epidural injection . Therefore less likely to reach foetus. Hence used widely in obstetrics . From Tripati 7th edition Page no 367